All of following statements about are true about 6-mercaptopurine EXCEPT:
1. It is metabolized by xanthine osidase
2. It does not cause hyperuricemia
3. Its dose should be reduced when allopurinol is given concurrently
4. It is an active metabolite of azathioprine

Correct answer: 2. It does not cause hyperuricemia

Explanation: (Ref: KDT 6/e p823, 824) All anticancer drugs can result in hyperuricemia by causing the destruction of excess cells. Azathioprine is an immunosuppressant drug that acts by generating 6-MP